IMNCI differs from IMCI in all of the following, EXCEPT:
1. Malaria and anemia are included
2. 0-7 days neonates are included
3. Emphasis on management of sick neonates over sick older children
4. Treatment is aimed at more than one disease at a time

Correct answer: 4. Treatment is aimed at more than one disease at a time

Explanation: Integrated management of childhood illnesses (IMCI) is a strategy developed by WHO and UNICEF to manage childhood illnesses in a integrated way. The diseases included are diarrhea, malaria, ARI, malnutrition and measles. IMCI was launched in four selected districts each in in Uttranchal, Madhya Pradesh, Orissa, Rajasthan, Maharashtra, Gujarat, Delhi, Haryana and Tamilnadu. The Indian version of IMCI has been named as Integrated Management of Neonatal and Childhood Illnesses (IMNCI). Strategies wise both interventions differ in their principles; but both focus on treating more than one disease at a time. Both of them follow a horizontal approach for management of diseases. Ref: Park's Textbook of Preventive and Social Medicine, 19th Edition, Pages 372, 461; The State of the World's Children: Child Survival By UNICEF, Page 35.